The difference between a reamer and a file is in:
1. The number of flutes
2. The number of flutes and shape of the shaft
3. The number of flutes and the size of the shaft
4. The shape and size of the shaft

Correct answer: 2. The number of flutes and shape of the shaft